A child presented with fever for 2 days, altered sensorium and purpuric rashes. His blood pressure is 90/60 mmHg. Treatment of choice is>
1. IV Quinine
2. IV Artesunate
3. IV Penicillin
4. Chloroquine

Correct answer: 3. IV Penicillin

Explanation: Ans. is 'c' i.e. Penicillin .The clinical presentation of fever, altered sensorium and purpuric rashes, is highly suggestive of meningococcal meningitis.Purpuric rash in quite characteristic of meningococcemia.I. V. Penicillin is the treatment of choice for meningoccal inf. among the given options.The DOC for meningococcal infection is -IIIrd generation cephalosporin e.g. Cefotaxime, Ceftriaxone.Also RememberWaterhouse Friderichsen syndromeSeen in fulminant meningococcemiaadrenal insufficiency occurs* due Haemorrhage and necrosis in the adrenal glandsClinical presentation isprostrationhypotensionshock andUltimately coma and death.